The electron transport system of Neisseria is located on which of the following structures?
1. Cytoplasmic membrane
2. Mesosome
3. Mitochondria
4. Nuclear membrane

Correct answer: 1. Cytoplasmic membrane

Explanation: Unlike eukaryotic cells in which the electron transport system is located on mitochondria, the electron transport system of bacteria is located on the cytoplasmic (plasma) membrane. Mesosomes and polyribosome DNA aggregates are also found in bacterial cells and function in cell division and protein synthesis, respectively. Bacteria do not have mitochondria or membrane-bounded nuclei. Ref: Brooks G.F. (2013). Chapter 2. Cell Structure. In G.F. Brooks (Ed), Jawetz, Melnick, & Adelberg's Medical Microbiology, 26e.